Common age for otosclerosis is -
1. 5-10 yrs
2. 10-20 yrs
3. 20-30 yrs
4. 30-45 yrs

Correct answer: 3. 20-30 yrs

Explanation: 50% of patients of otosclerosis have positive family history.
Females are more commonly affected than males. (Note: unless and until the question says in India always mark female> male as the correct option).
Whites are affected more than negroes.
Age = most common between 20–30 years (Ans. 3) and is rare before 10 and after 40 years.
Deafness is increased by pregnancy, menopause, trauma and major operations.
Viruses like measles virus have also been associated with it.